In brachytherapy of carcinoma cervix, dose of radiation to Point A is
1. 1000 rad
2. 4000 rad
3. 6000 rad
4. 8000 rad

Correct answer: 4. 8000 rad

Explanation: Point A: 2cm cephalic and lateral to the external os It is the point of crossing of uterine artery and ureter It receives 7000-8000cGy Point B: 2cm cephalic and 5cm lateral at the same plane and is approximately the site of obturator gland It receives 2000cGy initially and rest of dose supplemented by external beam irradiation of 4000cGy spreading over another 3 weeks total of 6000cGy Ref: D.C.DUTTA'S TEXTBOOK OF GYNECOLOGY; 6th edition; Pg no:350